In carcinoma of the prostate, which of the following statements is false?
1. The histological type is an adenocarcinoma.
2. Gleason scoring system is based on the degree of glandular differentiation.
3. Prostate cancer is the commonest site for skeletal metastasis.
4. Skeletal metastases from prostate cancer are always osteolytic.

Correct answer: 4. Skeletal metastases from prostate cancer are always osteolytic.

Explanation: The glands of the peripheral zone are lined by columnar epithelium and hence a cancer arising from there is an adenocarcinoma. Skeletal metastases from prostate cancer are mostly osteoblastic, the most frequently involved being the pelvis and lower lumbar vertebrae.